The disease with autosomal dominant inheritance among the following is:
1. Best's disease
2. Gyrate atropy
3. Wilson's disease
4. Lawrence Moon Biedl Syndrome

Correct answer: 1. Best's disease

Explanation: The mode of inheritance of Best's disease is autosomal dominant with incomplete penetrance. This means that some patients could have abnormal allele and a normal appearing fundus. The classic ophthalmoscopic appearance of the condition is symmetrical, bilateral, yellow-orange, vitelliform lesions. Gyrate atropy, Wilson's disease and Lawrence Moon Biedl Syndrome are autosomal recessive conditions. Ref: Pediatric Retina: Medical and Surgical Approaches, Mary Elizabeth Hanett, M.D., Page: 559